Flask shaped heart is seen in –
1. Ebstein anomaly
2. Pericardial effusion
3. TOF
4. TAPVC

Correct answer: 2. Pericardial effusion

Explanation: With a large pericardial effusion the heart appears enlarged and globular in shape, the so-called "water - bottle" or "Flask - shaped" without pulmonary venous congestion.